CD21 receptors bind to which virus -
1. CMV
2. EBV
3. Rabies virus
4. HSV

Correct answer: 2. EBV

Explanation: Ans. is 'b' i.e., EBV * EBV belongs to Herpes virus family.* Infection is most common in early childhood, with a second peak during late adolescence.* Infectious mononucleosis (IM) is usually a disease of young adults.* EBV is transmitted by saliva (oral secretions) of infected person.* Intimate oral contact, as in kissing is the predominant mode of transmission - causes kissing disease.* The virus enter the pharyngeal epithelial cells and B cells through (CR2 / or CD21) receptors.* Memory B Cells are the reservoir of EBV.